In Glanzman's thrombasthenia, there is a defect of
1. Gp IIb / IIa
2. Gp IIb / IIIa
3. Gp Ib / IX
4. Gp IIb / IX

Correct answer: 2. Gp IIb / IIIa

Explanation: Glanzman's thrombasthenia

Platelet aggregation defect
IIb / IIIa Gp deficient